The purpose of screening test?
1. To diagnose the cases
2. To sort out persons who are at increased risk
3. To segregate diseased and non-diseased persons
4. None

Correct answer: 2. To sort out persons who are at increased risk

Explanation: Ans. is 'b' i.e., To sort out persons who are at increased risk o The basic purpose of screening is to sort out from a large group of apparently healthy persons those likely to have disease or at increased risk of disease under study, to bring those who are apparently abnormal under medical supervision and treatment. o Screening test is carried out in the hope that earlier diagnosis and subsequent treatment favourably alters the natural history of the disease in a significant proportion of those who are identified as 'positive'.